In a patient with chronic atrial fibrillation with a regular beat of 60/min, the most probable cause is-
1. Sleep
2. Digitalis toxicity
3. Sino nodal block
4. Hypothyroidism

Correct answer: 2. Digitalis toxicity

Explanation: The health care provider may hear a fast heartbeat while listening to your heart with a stethoscope. Your pulse may feel fast, uneven, or both. The normal heart rate is 60 to 100 beats per minute. In atrial fibrillation or flutter, the heart rate may be 100 to 175 beats per minute Digoxin toxicity is a life-threatening condition. ... The classic arrhythmias seen during digoxin toxicity include atrial tachycardia with a 2:1 conduction, bidirectional ventricular tachycardia and atrial fibrillation with a slow ventricular response Ref Harrison 20th edition pg 1436